All are used for schizophrenia except -
1. Chlorpromazine
2. Clozapine
3. Resperidon
4. Venalafaxin

Correct answer: 4. Venalafaxin

Explanation: Ans. is 'd' i.e., Venalafaxin Drugs used for schizophreniaTypical antipsychotics Phenothiazines (chlorpromazine, thioridazine, trifluperazine, fluphenazine); thioxanthenes (thiothixene, flupenthixole); Butyrophenones (Haloperidol, trifluperidol, penfluridol); other heterocyclics (Pimozide, Loxapine, Sulpiride).Atypical antipsychotics Clozapine, Olanzapine, Aripiprazole, Risperidon, Quetiapine, Ziprazidone.